Genes are:
1. Ribonucleic acid
2. Deoxy ribonucleic acid
3. Lipo proteins
4. Chromo proteins

Correct answer: 2. Deoxy ribonucleic acid

Explanation: Ans. B. Deoxy ribonucleic acidDNA is a reserve bank of genetic information and is organized into genes, which are the fundamental units of genetic information.